Period of isolation in salmonella infection is till
1. 72 hours after chemotherapy
2. Widal negative
3. 3 consecutive stool cultures are negative
4. Urine culture is negative twice

Correct answer: 3. 3 consecutive stool cultures are negative